Which of the following is true regarding role played by social worker
1. Health professional responsible for functional evaluation and activities of the patient
2. Health professional responsible for instituting therapeutic exercises and mobility training of the patient
3. Health professional involved in the patients personal role performance, interpersonal skills and family functions
4. Health professional establishes and sustains the people with disability for employment

Correct answer: 3. Health professional involved in the patients personal role performance, interpersonal skills and family functions

Explanation: Ans. c. Health professional involved in the patients personal role performance, interpersonal skills and family functions Best defined role of social worker among the given options: "Health professional involved in the patients personal role performance, interpersonal skills and family functions Physiotherapist Health professional responsible for instituting therapeutic exercises and mobility training of the patient Social worker Health professional involved in the patients personal role performance, interpersonal skills and family functions The principal work of the medical social worker is to visit the family and probe into the personal, economic, and social causes of illness and collect social his? tory of the patient with a view to supplement medical history. Occupational therapist Health professional establishes and sustains the people with disability for employment